Early sign of puberty in male is enlargement of testes. In females it is determined by:
1. Pubarche
2. Menarche
3. Thelarche
4. Menstruation

Correct answer: 3. Thelarche

Explanation: Ans. (c) ThelarcheRef: Nelson 18th ed,, Adolescence: chapter 12IN GIRLS* The first visible sign of puberty and the hallmark of SMR2 (Sexual maturity rating) is the appearance of breast buds, between 8 and 12 yr of age.* Menses typically begins 2-2 1/2 yr later, during SMR3-4 (median age, 12 yr), around the peak height velocity.IN BOYS* The first visible sign of puberty and the hallmark of SMR2 is testicular enlargement, beginning as early as 9 1/2 yr. This is followed by penile growth during SMR3. Peak growth occurs when testis volumes reach approximately 9-10 cm3 during SMR4.* Under the influence of LH and testosterone, the seminiferous tubules, epididymis, seminal vesicles, and prostate enlarge. The left testis normally is lower than the right. Erections are common, and nocturnal emissions may occur. The voice deepens, and linear growth is accelerated.Also remember: Precocious puberty is defined as the onset of secondary sexual characteristics before 8 year of age in girls and 9 year in boys.